High-risk breast cancer female investigation of choice is?
1. MRI
2. USG
3. Mammography
4. Clinical examination

Correct answer: 1. MRI

Explanation: – To differentiate scar from recurrence.
– To image breasts of women with implants.
– To evaluate the management of axilla and recurrent disease.

It is useful in screening females with the high-risk group.
T1 and T2 weighted images are taken.
Irregular mass with speculations, changes in skin and nipple, lymphoedema are the findings in carcinoma breast.

MRI breast is not accurate if done within 9 months of the radiotherapy in carcinoma of the breast. 
Both precontrast and postcontrast MRI are done.